Decrease in diffusion is diagnosed by:
1. DLCO
2. Spirometer
3. Both
4. None

Correct answer: 1. DLCO

Explanation: DLCO Stands for diffusion capacity for carbon monoxide It is used to estimate diffusion capacity of the lungs